Which of the following is Autosomal dominant
1. Achondroplasia
2. Hemochromatism
3. Wilson's disease
4. Cystic fibrosis

Correct answer: 1. Achondroplasia

Explanation: Answer is A (Achondroplasia) : Achondroplasia is inherited as an autosomal dominant disorder. All other disorders mentioned as options follow an autosomal recessive inheritance pattern